Glycine is present in all except?
1. Creatine
2. Purine
3. Glutamine
4. Glutathione

Correct answer: 3. Glutamine

Explanation: Ans. is 'c' i.e.,Glutamine GlycineIt is a nonessential amino acid which is synthesized from serineGlycine is necessary for the formation Heme, purine ring, bile acids conjugation (formation of glycocholic acid, and glyco-chenodeoxycholic acid), creatine, glutathione, glucose (by gluconeogenesis).